In breast examination, the clinician was palpating with tips of finger except thumb started from 2 o'clock posteriorly, palpated at 3 points on line joining periphery to nipple. Then again went to 3 o'clock point directly and came back centripetally while palpating at 3 points again on the line joining periphery and nipple. What is the method of breast examination described?
1. Vertical strip method
2. Dial of clock method
3. Concentric method
4. Quadrant method

Correct answer: 2. Dial of clock method

Explanation: The method described in the question about breast palpation is "Dial of Clock" Method of Breast Examination. "Dial of Clock" Method of Breast Examination Whole breast is palpated as if it was "dial of a clock": - 12 o'clock: Highest point at upper edge of breast just below mid-clavicular point - 6 o'clock: At infra-mammary crease. Breast is palpated by making circular movements of the "pad of fingers", three times with increasing pressure & without lifting the fingers. Inner half of mammary gland is palpated in supine position.